A premature neonate on top feeding develop abdominal distension and bleeding per rectum. He recently recovered from acute upper respiratory tract infection. What is the probable diagnosis –
1. Necrotizing enterocolitis
2. Valvulus
3. Meckel's diverticulum
4. Intussusception

Correct answer: 1. Necrotizing enterocolitis

Explanation: This child is -


Premature
On artificial feeding (top feeding)
Having abdominal distention and bleeding per rectum.


All these are suggestive of necrotizing enterocolitis :-

i) The greatest risk factor, for necrotizing enterocolitis is prematurity. ____ Nelson 18th /e 755
ii) Almost all patients of neonatal enterocolitis are artificially fed prior to the onset of illness.
iii) In stage I, there is abdominal distention and blood in stool.


So, the child in question is suffering from necrotizing enterocolitis.

About other options

The hallmark of volvulus in neonatal period is bilious vomiting.
Intussusception presents between the age of 3-9 months (not in neonatal period).
Symptoms of Meckel diverticulum usually arise in the 1st 2 years of life (average 2.5 years) and most common presentation i4s painless rectal bleeding.